Aortic opening in diaphragm is found at the level of:
1. T12
2. T10
3. T8
4. LI

Correct answer: 1. T12

Explanation: Ref: Grays Anatomy, 40th edExplanation:A number of structures pass between the thorax and abdomen via apertures in the diaphragm.There are three large openings, for the aorta, oesophagus and inferior vena cava, and a number of smaller ones.The aortic apertureIt is the lowest and most posterior of the large openings, and is found at the level of the lower border of the twelfth thoracic vertebra and the thoracolumbar intervertebral disc, slightly to the left of the midline.The aortic opening transmits the aorta, thoracic duct, lymphatic trunks from the lower posterior thoracic wall and. sometimes, the azygos and hemiazygos veins.The oesophageal apertureIt is located at the level of the tenth thoracic vertebra, above, in front and a little to the left of, the aortic opening.It transmits the oesophagus, gastric nerves, oesophageal branches of the left gastric vessels and some lymphatic vessels.The vena caval apertureThe highest of the three large openings, lies at about the level of the disc between the eighth and ninth thoracic vertebrae.It is traversed by the inferior vena cava, which adheres to the margin of the opening, and by some branches of the right phrenic nerve.Also note:There are two lesser apertures in each crus: one transmits the greater, and the other the lesser, splanchnic nerve.The ganglionated sympathetic trunks usually enter the abdominal cavity behind the diaphragm, deep to the medial arcuate ligament.Openings for minute veins frequently occur in the central tendon.* Aortic, Thoracic duct, Azygos Vein opening -112* Oesophageal opening -T10* Inferior venacava opening-T8